Pseudo bubo is seen in ?
1. Donovanosis
2. LGV
3. Chancroid
4. Leprosy

Correct answer: 1. Donovanosis

Explanation: Ans. is 'a' i.e., Donovanosis